Which of the following is DOC for optic neuritis?
1. Oral steroids
2. I.v steroids
3. Topical steroids
4. Immunosuppressant

Correct answer: 2. I.v steroids

Explanation: i.v. Methyl prednisolone is DOC for optic neuritis. Treatment of Optic Neuritis i.v. Methyl prednisolone is given in optic neuritis. Oral steroids not to be given initially. CHAMPS TRIAL - Interferon b-1a. Few studies in AIIMS show i.v. Dexmethasone is equally effective for treatment.